The only reliable method to distinguish between a follicular adenoma and a follicular carcinoma:
1. Histological evidence of Angioinvasion.
2. Radiography
3. Peripheral smear
4. All of the above

Correct answer: 1. Histological evidence of Angioinvasion.